Phase 4 clinical trial is carried out:
1. Before the marketing approval of a drug
2. After a drug is marketed
3. For drugs used in rare diseases
4. For drugs used in pediatric patients

Correct answer: 2. After a drug is marketed